Warfarin induced skin necrosis is seen in ?
1. Protein C deficiency
2. Protein S deficiency
3. Hemophillia
4. Antithrombin III deficiency

Correct answer: 1. Protein C deficiency

Explanation: Ans. is 'a' i.e., Protein C deficiency o Warfarin - induced skin necrosis occurs in patients with undiagnosed protein C deficiency.